X-rays are discovered in
1. Nov 1897
2. Oct 1895
3. Nov 1895
4. Nov 1890

Correct answer: 3. Nov 1895